All are seen in gestational diabetes except:
1. Previous macrosomic baby
2. Obesity
3. Malformations
4. Polyhydramnios

Correct answer: 3. Malformations

Explanation: Ans. is c, i.e. MalformationsRef Textbook of Obs. Sheila balakrishnan 1/e, p 288; Fenando Arias 3/e, p. 445, p 441As explained in the preceding text, congenital malformations are seen in fetuses of overt diabetics and not gestational diabetics.